Defect in folding of the protein result in which of the following clinical disease:
1. Kuru
2. Migraine
3. Hypothyroidism
4. Myopia

Correct answer: 1. Kuru

Explanation: A i.e. Kuru